Infertility is a common feature in Sertoli cell only syndrome, because:
1. Too many Sertoli cells inhibit spermatogenesis , inhibin
2. Proper blood testis barrier is not established
3. There is no germ cells in this condition
4. Sufficient numbers of spermatozoa are not produced

Correct answer: 3. There is no germ cells in this condition

Explanation: The absence of germ cell (Sertoli Cell-only syndrome) causes infertility. The main characteristic of Sertoli Cell, syndrome consists of testicular tubes that show a moderate decrease in diameter and are void of germ cells. Also the testes decrease in size and are azoospermia.